Cancer management in which of following malignancies has dramatically increased the survival?
1. Esophagus carcinoma
2. Glioblastoma multiforme
3. ALL in children
4. Cholangiocarcinoma

Correct answer: 3. ALL in children

Explanation: Ans. is 'c' i.e., ALL in children Prognosis of ALLThe survival rate has improved from zero four decades ago to 20-75 percent currently, largely due to clinical trials on new chemotherapeutic agents and improvements in stem cell transplantation (SCT) technology.Glioblastoma multiforme (grave iv) is an aggressive form of astrocytoma with poor prognosis.Esophageal Ca and cholangiocarcinoma usually remain asymptomatic for a very long time. By the time they are detected these would have already spread. So the only treatment that can be offered is palliation.